Acute yellow Fatty Liver is caused by which of the following poisoning ?
1. Aconite ,
2. Arsenic
3. Lead
4. Mercury

Correct answer: 2. Arsenic

Explanation: Acute yellow fatty liver is characteristically seen in phosphorus poisoning but can also be seen in arsenic poisoning.